Hypoglycemia is an important feature of which of the following condition?
1. Hypoparathyroid
2. Addison disease
3. Pheochromocytoma
4. All of the above

Correct answer: 2. Addison disease